All of the following abbreviations are true except:
1. AMP-Adenosine monophosphate
2. CMP - Cytidine monophosphate
3. GMP - Guanosine monophosphate
4. TMP - Thymine monophosphate

Correct answer: 4. TMP - Thymine monophosphate

Explanation: D i.e. TMP - Thymine monophosphate,Nucleosides are N-glycosides formed by addition of pentose sugar (D-ribose or 2 deoxy D-ribose) to a purine (adenine, guanine) or pyrimidine (cytosine, thymine & uracil) bases. Nucleosides with purine bases (A, G) have - 'sine' suffix viz - adenosine, guanosineQ, whereas pyrimidine nucleosides have 'dine' suppix viz - cytidine, thymidine and uridineQ.Nucleotides are phosphorylated nucleosides. Suffix - sine /-nylate/-nylic acid for purine &- dine /-dylate /-dylic acid for pyrimidine are used. So UMP is uridylate or uridine now phosphate and TMP is thymidylate or thymidine mono phosphate